Content of Na' in ringer lactate is meq/1-
1. 154
2. 12
3. 130
4. 144

Correct answer: 3. 130

Explanation: Ans. is 'c' i.e., 130